Which one of the following is used for preservation of blood for transfusions
1. Heparin
2. Citrate phosphate dextrose
3. Thrombin
4. None of the above

Correct answer: 2. Citrate phosphate dextrose

Explanation: Whole Blood Anticoagulant used Maximum storage ACD/CPD/CP2D 21 days CPDA-1 (Citrate phosphate dextrose Adenine) 35 days SAGM(Saline, Adenine, glucose, mannitol) 42 days Actions of ingredients of anticoagulant solution Glucose - ATP generation by glycolysis Adenine - Synthesis of ATP. Increases shelf life of RBC to 42 days Citrate - Prevents coagulation by chelating calcium Sodium diphosphate - Maintain optimum pH Ref: Sabiston 20th edition Pgno :588